Feeding Artery and a well defined nidus is characteristic of?
1. True AV malformation
2. Venous angioma
3. Cavernous angioma
4. Hemangioma

Correct answer: 1. True AV malformation

Explanation: Feeding Artery and Nidus is seen in True AV malformation Popcorn Appearance in Cavernous Angioma Medusa Head /Spoke wheel pattern in Venous Angioma